Micro organism motile at 25° C but not motile at 37° C
1. Listeria monocytogens
2. Campylobacter
3. Yersinia pestis
4. Streptococcus agalactiae

Correct answer: 1. Listeria monocytogens